All are mechanisms of bone conduction except:
1. Vibrations of air column of the EAC
2. Vibrational inertia of ossicles
3. Vibration of the inner ear
4. Air conduction through the Tympanic Membrane

Correct answer: 4. Air conduction through the Tympanic Membrane

Explanation: This is a method of air conduction, the other 3 are the mechanisms of bone conduction